A hair on end appearance of the skull is seen in all of the following expect
1. Thalassemia
2. Sickle anemia
3. Cooley's anaemia
4. Pagets disease

Correct answer: 4. Pagets disease